Widened anionic gap is not seen in :
1. Acute renal failure
2. Diarrhea
3. Lactic acidosis
4. Diabetic ketoacidosis

Correct answer: 2. Diarrhea

Explanation: Answer is B (Diarrhea) Diarrhea is a cause of normal anion gap metabolic acidosis produced as a result of increased gastrointestinal bicarbonate loss. The differential diagnosis of normal anion gap acidosis : Hyperalimentation Acetazolamide and other carbonic anhydrase inhibitors Renal tubular acidosis Diarrhea: due to a loss of bicarbonate. Ureteroenteric fistula Pancreaticoduodenal fistula Spironolactone The causes of High Anion Gap Acidosis: Lactic acidosis Ketoacidosis Diabetic ketoacidosis Alcohol abuse Toxins: Methanol Ethylene glycol Propylene glycol Lactic acid Uremia Aspirin Iron Isoniazid Cyanide, coupled with elevated venous oxygenation Renal failure